Following are transmitted by mosquito except -
1. Japanese encephalitis
2. Dengue fever
3. Yellow fever
4. Plague

Correct answer: 4. Plague

Explanation: Plague is primarily and basically, a zoonosis caused by Y.pestis, involving rodents and fleas. It exists in natural foci and is transmitted by infected flea bites to humans living or intruding into the same ecological environment Plague occurs in many forms - enzootically, epizootically, sporadically and in epidemics anthroponotic and primary pneumonic forms. AGENT: Y. pestis Reservoir: Wild rodents Source of infection: Infected rodent, fleas and case of pneumonic plague. Park's Textbook of Preventive and Social Medicine, 25th Edition, Pg 319.